The Lombard test is used in the diagnosis of
1. Conductive hearing loss
2. Sensorineural hearing loss
3. Non-organic hearing loss
4. Mixed hearing loss

Correct answer: 3. Non-organic hearing loss

Explanation: Tests for Functional (Non-organic) Hearing loss:1. Stenger`s test2. Chimani Moos test3. Teal test4. Erhards test5. Lombard`s test6. Acoustic reflex threshold7. BERA8. Bekesy audiometryRef: Hazarika; 3rd ed; Pg 72